Which of the following is lanceolate -
1. Cl. tetani
2. Donovania
3. Pneumococci
4. Meningococci

Correct answer: 3. Pneumococci

Explanation: Ans. is 'c' i.e., Pneumococci Pneumococci are typically small, slightly elongated cocci, with one end broad or rounded and other pointed, presenting a flame shaped or lanceolate appearance.